Which of the following is the noblest phase in amalgam reaction?
1. Gamma phase
2. Gamma-1 phase
3. Gamma-2 phase
4. Mercury phase

Correct answer: 2. Gamma-1 phase

Explanation: The gamma-1 phase is the noblest phase and most resistant to tarnish and corrosion.
Reference: Marzouk Operative dentistry, pg-106